In adults, the spinal cord normally ends at:
1. Lower border of L1
2. Lower border of L3
3. Lower border of L5
4. Lower border of S1

Correct answer: 1. Lower border of L1

Explanation: Ans. A Lower border of L1Ref: IB Singh, 8th ed. pg. 31* Spinal cord begins at foramen magnum and, in adults, ends at lower border of L1.* In newborn, spinal cord ends at L3 vertebrae.